Most common location of Subdural hematoma is
1. Temporoparietal
2. Frontotemporal
3. Frontoparietel
4. Parieto-occipital

Correct answer: 3. Frontoparietel

Explanation: Overall 85% of subdural haematomas are unilateral in adults. However, 75-85% are bilateral in infants. Common sites for subdural hematomas are frontoparietal convexities and the middle cranial fossa Reference: Textbook of Adult Emergency Medicine by Peter Cameron, 4th edition, page no: 78 :.